Which of the following was previously used to diagnose bronchial asthma
1. Oxtremorine
2. Methacoline
3. Carbachol
4. Oxybutynin

Correct answer: 2. Methacoline

Explanation: Methacholine normally acts on M2 receptor present on heart. "Methacholine challenge test" was used to diagnose bronchial asthma, where it can cause bronchoconstriction because of increased sensitivity of M3 receptors due to airway hyperreactivity.